The anticoagulant normally present in animal cell is:
1. Vitamin K.
2. Heparin.
3. Hyaluronidase.
4. Dicoumarol.

Correct answer: 2. Heparin.

Explanation: Harper – 603
Heparin is used in clinical medicine to inhibit coagulation because it binds to the specific cationic site of antithrombin III, inducing a conformational change and promoting its binding to thrombin as well as to its other substrates.